Asbsestosis is associated with which cancer:
1. Lung cancer
2. Liver cancer
3. Colon cancer
4. Stomach cancer

Correct answer: 1. Lung cancer

Explanation: Ans. (a) Lung cancerRef: K. Park 23rd ed. / 807* Asbestosis occurs due to long duration (>10 years) exposure to asbestos.* This may lead to pulmonary fibrosis, carcinoma of bronchus, mesothelioma of pleura/peritoneum and GIT cancer.Other Important Occupational CancerAgentAssociated CancerAsbestosisArsenicBenzeneBenzidineSilicaWood dustMesotheliomaSkin, lung, liver CALeukemiaBladder CALung CANasal sinus* Most common occupational cancer: skin CA (75%), mainly squamous cell CA.